Absolute contraindication of IUCD is
1. Endometriosis
2. Pelvic tuberculosis
3. Dysmenorrhea
4. Iron deficiency anemia

Correct answer: 2. Pelvic tuberculosis